Antiendomysial Antibody is typically seen in:
1. Celiac Disease
2. SLE
3. Tropical sprue
4. Collagenous Colitis

Correct answer: 1. Celiac Disease

Explanation: Answer is A (Celiac Disease): A ntiendomysial antibodies are trypically seen in celiac disease. Diagnosis of Celiac Sprue Serological tests Endoscopic mucosal biopsy of distal duodenum or proximal jejunum Prompt clinical and histpathological response foliowing institution of gluten free diet. Serological tests (CMDT) Endoscopic mucosal biopsy Diagnosis Two serological tests with * Findings are characteristic but * Diagnosis of celiac sprue requires highest diagnostic accuracy are not specific /diagnostic. Presence of characteristic 1. IgA antiendomysial * Biopsy of distal duodenum or histopathological changes on biopsy antibody proximal jejunum is i together will prompt clinical and 2. IgA anti -- tTG antibody performed. hispathological response following * Finding are restricted to institution of gluten free diet. * Both tests have a > 90% mucosa and include : * IgA antiendomysial Ab or IgA anti sensitivity and > 95% specificity. -- Loss or blunting of villi / flat villi tTGA Ab should also disappear after a gluten free diet. -- Hypertrophy of intestinal crypts -- Infiltration of lamina propria will lymphocytes / plasma cells -- Cuboidal appearance of epithelial cells and increased intraepithelial lymphocytes. jgG or IgA antigliadin antibodies are present in 85% of patients with celiac sprue. However their specificity is relatively low (80 -- 90%) which limits their usefulness as screening test. Small bowel biopsy is still recommended to confirm diagnosis.